After the division of testicular vein for treatment of varicose vein, venous drainage of testes is by -
1. Cremasteric veins
2. Dorsal vein of penis
3. Pampiniform plexus
4. Internal pudendal vein

Correct answer: 1. Cremasteric veins